All of the following have increased risk of breast cancer except
1. Peutz-Jeghers syndrome
2. Cowden syndrome
3. BRCA 1
4. HNPCC

Correct answer: 4. HNPCC

Explanation: In HNPCC Colorectal cancer, endometrium, stomach, hepatobiliary malignancies are seen.Ref: Bailey and Love 27e pg: 148